Characters of exotoxin include all, except
1. Protein polysaccharide complex
2. Heat labile
3. Highly potent
4. Has specific tissue affinity

Correct answer: 1. Protein polysaccharide complex